Elements of primary health care include all of the following except -
1. Adequate supply of safe water and basic sanitation
2. Providing essential drugs
3. Sound referral system
4. Health education

Correct answer: 3. Sound referral system

Explanation: Elements of primary health care education concerning prevailing health problems and the method of preventing and controlling them Promotion of food supply and proper nutrition An adequate supply of safe water and basic sanitation Maternal and child health care including family planning Immunization against major infectious diseases Prevention and control of locally endemic diseases Appropriate treatment of common diseases and injuries Provisions of essential drugs (refer pgno:891 park 23rd edition)